Which of the following is not a body building food?
1. Milk
2. Egg
3. Groundnut
4. Fruits

Correct answer: 4. Fruits

Explanation: Classification of food by predominant functions: Body building foods; milk, egg, poultry, pulses, meat, groundnut etc. Energy giving foods: fats, oils, cereals, sugar, tubers, roots Protective foods: vegetable, fruit, milk Ref: Park 22nd edition, Page 564.